Ovarian pathology is referred to:
1. Gluteal region
2. Anterior thigh
3. Medial part of thigh
4. Back of thigh

Correct answer: 3. Medial part of thigh

Explanation: Ans. is c, i.e. Medial part of thighOvarian pathology may irritate the obturator nerve which lies close to the ovary. Obturator nerve supplies the medial side of thigh and thus ovarian pathology can lead to pain in medial side of thigh, by phenomenon of Somatic referred pain.